Most sensitive tissue to Radiation is –
1. Liver
2. Gonads
3. Spleen
4. Skin

Correct answer: 2. Gonads

Explanation: Highly radiosensitive:- Lymphoid tissue, Bone marrow, Gonads, GIT epithelium, Embryonic tissue.
Moderately radiosensitive:- Skin, vascular endothelium, Lung, Kidney, Liver, Lens (eye), Stomach, Small intestine, Colon, Rectum.
Least radiosensitive :- CNS, Muscle, Bone & Cartilage, Connective tissue, Vagina & Uterus, Pancreas.